Febuxostat is used for?
1. HyperKalemia
2. Hyperuricemia
3. Hypernatremia
4. Hypercalecmia

Correct answer: 2. Hyperuricemia

Explanation: ANSWER: (B) HyperuricemiaREF: Harrison s 18th ed ch: 333Febuxostat is a urate lowering drug, an inhibitor of xanthine oxidase that is indicated for use in the treatmentof hyperuricemia and chronic gout. It works by non-competitively blocking the molybdenum pterin center which isthe active site on xanthine oxidase.For treatment of hyperuricemia in patients wdth gout, febuxostat is recommended at 40 mg or 80 mg once daily.The adverse effects associated with febuxostat therapy include nausea, diarrhea, arthralgia, headache, increased hepatic serum enzyme levels and rash.Febuxostat is contraindicated with concomitant use of theophylline and chemotherapeutic agents, namely azathioprine and 6-mercaptopurine, because it could increase blood plasma concentrations of these drugs, and therefore their toxicity. Does not require dose adjustment in mild to moderate renal disease.